In a fetus highest O2 concentration found in
1. svc
2. ivc
3. right ventricle
4. aorta

Correct answer: 2. ivc

Explanation: Highest o2 concentration umblical vien > ivc > svc> =ra=rv > umblical artery Reference: GHAI Essential pediatrics, 8th edition